Which of the following is not included under Swarna Jayanti Shahri Rojgar Yojana?
1. Urban self employment programme
2. Urban woman self help programme
3. Skill training for employment promotion against urban poor
4. None of the above

Correct answer: 4. None of the above

Explanation: The following components are included under Swarna Jayanti Shahri Rojgar Yojana: Urban self employment programme Urban woman self help programme Skill training for employment promotion against urban poor Urban wage employment programme Urban community development network Ref: Health policies and programmes in India, D.K. Taneja 11th edition page: 394